All of the following statements about Androgen Insensitivity Syndrome are true except :
1. Patients have an XY genotype
2. Pubic hair are abundant
3. Short vagina may be present
4. Ovaries are absent

Correct answer: 2. Pubic hair are abundant

Explanation: Ans. is b i.e. Pubic hair are abundant Breasts are well developed whearas pubic hair and axillary hair are scanty in case of testicular feminising syndrome (Androgen Insensitivity Syndrome).